True about Parathyroid hormone:
1. It is steroidal in nature
2. Stimulate 1, 25 D3 formation
3. Inhibits Ca2+ absorption from the intestines
4. All

Correct answer: 2. Stimulate 1, 25 D3 formation

Explanation: B i.e. Stimulate 1, 25 D3 formation